Best treatment for post dural puncture headache –
1. Caffeine
2. NSAIDs
3. Extradural blood patch
4. IV fluid

Correct answer: 3. Extradural blood patch

Explanation: Initially conservative treatment is given which includes analgesics (NSAIDs), oral or i.v., fluids, Sumatriptan, cosyntropin, caffeine and recumbent position.
If conservative treatment fails, epidural blood patch (PG1 01) can be used. It involves injecting 15-20 ml of autologus blood into the epidural space which stop leakage of CSF by coagulation and mass effect.
Thus, epidural blood patch is the best treatment, but it is not used as first line treatment. Initially, conservative treatment is given.